Dorsal pterygium of nail is seen in:
1. Lichen planus
2. Scleroderma
3. Psoriasis
4. Systemic lupus erythematosus

Correct answer: 1. Lichen planus

Explanation: Ans. a. Lichen planusNail pterygium is a wing-shaped deformity of nail due to a central fibrotic band which divides the nail into two parts in the proximal area.Dorsal pterygium is seen in lichen planus.Ventral pterygium is seen in trauma, systemic sclerosis, Raynaud phenomenon, lupus erythematosus, familial subungual pterygium, and infections.Other important nail changes:#Yellow nail: Lymphedema, pleural effusion, immunodeficiency, bronchiectasis, sinusitis, rheumatoid arthritis, nephrotic syndrome, thyroiditis, tuberculosis, Raynaud's disease.#Terry's (white) nails: Hepatic failure, cirrhosis, diabetes mellitus, CHF, hyperthyroidism, malnutrition.#Azure lunula: Hepatolenticular degeneration (Wilsons disease), silver poisoning, quinacrine therapy.#Dark longitudinal streaks: Melanoma, benign nevus, chemical staining, normal variant in darkly pigmented people.#Longitudinal striations: Alopecia areata, vitiligo, atopic dermatitis, psoriasis.#Splinter hemorrhage: Subacute bacterial endocarditis, SLE, rheumatoid arthritis, antiphospholipid syndrome, peptic ulcer disease, malignancies, oral contraceptive use, pregnancy, psoriasis, trauma.#Telangiectasia: Rheumatoid arthritis, SLE, dermatomyositis, scleroderma.